Drug of choice for Chronic Myeloid Leukaemia is
1. Hydroxyurea
2. Imatinib
3. Infliximab
4. IFN beta

Correct answer: 2. Imatinib

Explanation: (B) Imatinib TRASTUZUMABMechanismMonoclonal antibody against HER-2 (erb-B2). Helps kill breast cancer cells that over express HER-2, possibly through antibody-dependent cytotoxicity.Clinical useMetastatic breast cancerToxicityCardiotoxicityIMATINIBMechanismMonoclonal antibody against the Philadelphia chromosome brc-abl tyrosine kinaseClinical useCML, Gl stromal tumorsToxicityCardiotoxicityVINCRISTINE, VINBLASTINEMechanismM-phase-specific alkaloids that bind to tubulin and block polymerization of microtubules so that mitotic spindle cannot formClinical usePart of the MOPP (Oncovin ) regimen for lymphoma, Wilms tumor, ChoriocarcinomaToxicityVincristine-neurotoxicity (areflexia, peripheral neuritis), paralytic ileus. Vinblastine blasts bone marrow (suppression)PACLITAXEL, OTHER TOXOIDSMechanismM-phase-specific agents that bind to tubulin and hyper stabilize polymerized microtubules so that mitotic spindle cannot break down (anaphase cannot break down (anaphase cannot occur)Clinical useOvarian and breast carcinomaToxicityMyelosuppression and hypersensitivity